Tom Smith arthritis involves
1. Knee
2. Hip
3. Ankle
4. Wrist

Correct answer: 2. Hip

Explanation: Ans. b (Hip) (Ref Maheshwari orthopedics 4th/165)TOM SMITH ARTHRITIS# Septic arthritis of hip joint in infant# Acute onset with rapid abscess formation# Head of femur is cartilaginous at this age and hence rapidly and completely destroyed by the pyogenic process.# Affected limb shorter and hip movements are increasd in all directions# Telescopy test +.# Complete absence of the head and neck of femur and normally developed round acetabulum on X-ray differentiates it from CDH.# Rx:- Arthroscopic wound lavage (minimally invasive Rx).